The drug of choice in treatment of typhoid fever in pregnancy is:
1. Ampicillin
2. Chloramphenicol
3. Ciprofloxacin
4. Ceftriaxone

Correct answer: 4. Ceftriaxone

Explanation: Ceftriaxone Quinolones are contraindicated in pregnancy Ref. Harrison 17/e p 958,959